Which of the following markers in the blood is the most reliable indicator of recent hepatitis infection-
1. HBsAg
2. lgG anti - HBs
3. IgM anti - HBc
4. gM anti - HBe

Correct answer: 3. IgM anti - HBc